Cortical mastoidectomy is indicated in -
1. Cholesteatoma without complication
2. Coalescent mastoiditis
3. CSOM with brain abscess
4. Perforation in Pars flaccida

Correct answer: 2. Coalescent mastoiditis